Sensitivity of central chemorecepter in COPD -
1. Decreased to H+
2. Increased to H+
3. Increased to PCO2
4. Increased to PO2

Correct answer: 1. Decreased to H+

Explanation: Ans. is 'a' i.e., Decreased to H+ o Primary stimulus for central chemoreceptors is an increase in hydrogen ion concentration (H) in CSF. o But, central chemoreceptors are depressed in hypoxia (COPD causes hypoxic hypoxia). "Central chemoreceptors are not stimulated by hypoxia; rather like any other cells, they are depressed by- hypoxia " ___ Priciples of medical physiology o Thus, COPD will cause depression of central chemoreceptors to other stimuli as it causes hypoxic hypoxia.